The drug used in absence seizures and having a narrow spectrum of antiepileptic activity is :
1. Lamotrigine
2. Ethosuximide
3. Sodium valproate
4. Primidone

Correct answer: 2. Ethosuximide